Likely size of uterus at 8 weeks post partum is
1. 100 gm
2. 500 gm
3. 700 gm
4. 900 gm

Correct answer: 1. 100 gm

Explanation: Ans. is a i.e. 100 gm Weight of uterus : Immediately after delivery -- 1000 gm. At the end of 1 week -- 500 gm. At the end of 2 weeks -- 300 gm. At the end of 6 weeks it weighs -- 60 - 100 gm (Pre-pregnant state). Also Know : Immediately following delivery, the fundus is just below the umbilicus (13.5 cms above the symphysis pubis/ 20 weeks gestational age size.)deg Involution of the uterus After 24 hours of delivery, height of uterus decreases by 1.25 cm/day.deg Uterus is a pelvic organ.deg by the end of 2 weeks. Uterus returns almost to its normal size (pre pregnant size) by the end of 6 weeks. The process by which the post partum uterus returns to its pre pregnant state is called as Involution. Involution is achieved by decrease in the size of muscle fibres.deg (and not in the number)deg